Uncompensated metabolic acidosis shows -
1. Increased pH with increased HCO,-
2. Increased pH with Decreased HCCX-
3. Decreased pH with increased HCO,-
4. Decreased pH with Decreased HCO.-

Correct answer: 4. Decreased pH with Decreased HCO.-

Explanation: Ans. is 'd' i.e., Decreased pH with Decreased HCO3" o Metabolic acidosis (uncompensated) is due to decrease in HCO3-o It is due to decreased plasma HCO3- which results in decreased pH and acidosisQ. Both respiratory and renal compensatory mechanisms tend to minimize the change of pH in blood.o Respiratory' compensation includes hyperventilation produced by the action of increased H+ on the peripheral chemoreceptors. Hyperventilation decreases PCO2 and raises pH.o Renal compensation includes markedly increased H+ secretion w ith accompanied increase in generation of new HCO3 ions (along with reabsorption of all filtered HCO3). In metabolic acidosis, the plasma HCO3- is lowr and hence, the filtered load of HCO3 in the tubules too is also low. Hence, there is not much tubular HCO3 available to be reabsorbed. However, acidosis is also associated with increased renal ammoniagenesis, which increases the amount of ammonia available in the tubuleQ for buffering the augmented H+ secretion. Hence there is new generation of HCO3' (as every' H+ secreted is associated with generation of a HCO3-).